Reinke's crystals are seen in?
1. Leydig cells
2. Sertoli cells
3. Curschmann spirals
4. Creola bodies

Correct answer: 1. Leydig cells

Explanation: Ans. (a) Leydig cellsRef: Bailey & Love 26th ed. /1341Rectangular, crystal-like inclusions, composed of protein, with pointed or rounded ends in the interstitial cells of the testis (Leydig cells) and hilus cells in the ovary. Inside the Leydig cells of human males can be found Reinkes crystals. The purpose of these crystals is uncertain, some believe that they are a by-product of a degenerative process related to aging. They appear to have no contribution to androgen or testosterone production, and they can be used to identify Leydig cells easily when viewing testicular tissue under a microscope